A tight grasp by the operator on the explorer will
1. Prevent tactile sensitivity
2. Provide greater maneuverability
3. Prevent muscle fatigue of the fingers
4. All the above

Correct answer: 1. Prevent tactile sensitivity